Most common site of tubal rupture is seen in which tubal pregnancy ?
1. Interstitial
2. Ampulla
3. Isthmus
4. Infundibulum

Correct answer: 3. Isthmus

Explanation: Ans. is 'c' i.e., IsthmusIsthmic and interstitial pregnancies have more chances of rupture while the ampullary pregnancies have more chances of tubal abortion.Out of the isthmic and interstitial ectopics, isthmic pregnancies have more chance of rupture as isthmic pregnancies are more common and wall of isthmic portion of the fallopian tube is narrow and less distensible and is easily eroded by chorionic viii.